The nerve that may get injured during removal of third molar is:
1. Hypoglossal nerve
2. Facial nerve
3. Lingual nerve
4. Glossopharyngeal nerve

Correct answer: 3. Lingual nerve

Explanation: Ans. C: Lingual nerve The lingual nerve passes forward into the submandibular region from the infratemporal fossa by running beneath the origin of the superior constrictor muscle, which is attached to the posterior border of the mylohyoid line on the mandible. Here, it is closely related to the last molar tooth and is liable to be damaged in cases of clumsy extraction of an impacted third molar.